Which of the following is not used as vector in genetics -
1. Adenovirus
2. Proteasome
3. Liposome
4. Retrovirus

Correct answer: 2. Proteasome

Explanation: Ans. is 'b' i.e., Proteosomes o The traditional viral vectors are adenoviral vectors followed by papilloma viruses and retroviruses. Retroviruses are the main and most commonly used viral vectors.o Other cloning vectors for gene delivery arePlasmidBacteriophageiii) CosmidBAC (Bacterial artificial chromosome)YAC (Yeast artificial chromosome).o Liposomes or iipoplexes are also used as vector for gene delivery.